Brain blood supply -
1. 55mL/100gm/min
2. 400mL/100gm/min
3. 100 ml/100gm/min
4. 200 ml/100gm/min

Correct answer: 1. 55mL/100gm/min

Explanation: Ans. is 'a' i.e., 55 ml/l00gm/min o Blood supply of brain is 54 ml/100 gm/min or total 750 ml/min. Blood flow Oxygen ConsumptionResistace (R units)Percentage of TotalRegionMass (kg)ml/ minmL/100 g/minArteriovenous Oxygen Difference (mL/L)ml/ minmL/100 g/min Per kgCardiac OutputOxygen ConsumtionAbsoluteLiver2.6150057.734512.03.69.427.820.4Kidneys0.31260420.014186.04.31.323.37.2Brain1.475054.062463.37.210.113.918.4Skin3.646212.825120.311.742.18.64.8Skeletal muscle31.08402.760500.26.4198.415.620.0Heart muscle0.325084.0114299.721.46.44.711.6Rest of body23.83361.4129440.216.1383.26.217.6Whole body63.054008.6462500.41.063.0100.0100.0